Non-motile among the Burkholderia is
1. B. mallei
2. B. pseudomallei
3. B. cepaciae
4. B. bovis

Correct answer: 1. B. mallei

Explanation: Burkholderia mallei is a causative agent of glanders, a disease primarily of equine animals _ horses,mules and asses and capable of being transmitted to other animals like human beings, is a slender,nonmotile, gram negative bacillus,2.5x0.5 microns in size staining irregularly and often has beaded appearance.it is an aerobe and a facultative anaerobe growing on ordinary medium. Ref:anantnarayan and paniker's microbiology 10th edition